Posterior cord of brachial plexus is formed by?
1. Ventral division of upper trunk
2. Dorsal division of upper trunk
3. Ventral divisions of upper, middle & lower trunks
4. Dorsal divisions of upper, middle & lower trunks

Correct answer: 4. Dorsal divisions of upper, middle & lower trunks

Explanation: Ans. is 'd'i.e., Dorsal divisions of upper, middle & lower trunks